Which is the most common retrobulbar orbital mass in adults?
1. Meningioma
2. Neurofibroma
3. Schwannoma
4. Cavernous hemangioma

Correct answer: 4. Cavernous hemangioma

Explanation: Cavernous hemangiomas are the most common benign orbital tumors in adults. This tumor is usually located in the retroorbital cone. It is composed of numerous dilated vascular spaces of variable size and are surrounded by a fibrous capsule. On CT and MRI, the tumor appear as sharply marginated, round to oval, somewhat flattened mass that abut from the posterior wall of the globe. Ref: Diagnostic and Interventional Neuroradiology By Klaus Sartor, G. Albrecht, Page 135.